The protection againts small pox by previous infection with cowpox represents -
1. Antigenic cross-reactivity
2. Antigenic specificity
3. Passive immunity
4. Innate immunity

Correct answer: 1. Antigenic cross-reactivity

Explanation: Cross-reactivity applies to the reaction between two different species as opposed to the self-reactivity.In immunology, the cross-reactivity has a more narrow meaning of the reaction between an antibody and an antigen that differs from the immunogen.